Which of the following structure is not related to cavernous sinus?
1. Abducent nerve
2. Optic nerve
3. Ophthalmic nerve
4. Trochlear nerve

Correct answer: 2. Optic nerve

Explanation: Five structures in lateral wall of cavernous sinus1. Oculomotor nerve 2. Trochlear nerve 3. Ophthalmic nerve 4. Maxillary nerve 5. Trigeminal ganglion Note: Internal carotid artery wrapped in its venous and sympathetic plexus along with abducent nerve passes through the center of the cavernous sinus.